Gold standard investigation for screening of breast carcinoma in patients with breast implant
1. MRI
2. USG
3. Mammography
4. CT- Scan

Correct answer: 1. MRI

Explanation: MRI Indicated in scarred breast, implants and borderline lesions for breast conservation Investigation of choice for implant related complications Gold standard for imaging breast in females with implants Ref: Sabiston 20th edition pgno: 826-828